Concerning streptogramins, which one of the following statements is FALSE?
1. They are active against methicillin-resistant staphylococci
2. They may cause a syndrome of arthralgia and myalgia
3. They induce formation of hepatic drug metabolizing enzymes
4. They are used in the management of infections caused by vancomycin-resistant enterococci

Correct answer: 3. They induce formation of hepatic drug metabolizing enzymes

Explanation: (Ref: Katzung 10/e p753) Streptogramins like quinpristin and dalfopristin possess microsomal enzyme inhibitory property (NOT inducing). These are effective against MRSA and VRE infections.